Extensive pleural thickening and calcification especially involving the diaphragmatic pleura are classical features of -
1. Coal worker's pneumoconiosis
2. Asbestosis
3. Silicosis
4. Siderosis

Correct answer: 2. Asbestosis

Explanation: Diaphragmatic or pericardial calcification is almost pathognomonic sign of asbestosis.